Fully embryonated egg of trichuris trichiura contains
1. Eight blastomeres
2. Unsegmented ova
3. Rhabditiform larva
4. Ciliated embryo

Correct answer: 3. Rhabditiform larva